Which of the following is the most common cause of pre-sinusoidal intrahepatic portal hypertension?
1. Cirrhosis
2. Schistosomiasis
3. Sarcoidosis
4. Graft-versus-host disease

Correct answer: 2. Schistosomiasis

Explanation: MC cause of intrahepatic presinusoidal portal hypertension - Schistosomiasis Mc cause of Sinusoidal portal hypertension - Cirrhosis